All the following organisms are known to survive intracellularly, except
1. Salmonella typhi
2. Legionella pneumophilia
3. Neisseria meningitides
4. Streptococcus pyogenes

Correct answer: 4. Streptococcus pyogenes